The treatment of choice of fellow eye of acute angle closure glaucoma is –
1. Pilocarpine
2. Nd: YAG laser iridotomy
3. Peripheral iridectomy
4. Careful follow up

Correct answer: 2. Nd: YAG laser iridotomy